A person starts seizing on a railway station While waiting for a train. A wrist band was found showing he Is a patient of epilepsy and has a medicine in his pocket. What will yor do next?
1. Put a handkerchief in his mouth and restrain him by holding hands and legs
2. Take him away from the train, give him medicine with small sips of water and wait for seizure to resolve
3. Take him away from the train, give him medicine with small SIPS of water, raise his legs and wait for seizure to resolve
4. Take him away from the train, make him lie dow, and refer to the hospital

Correct answer: 4. Take him away from the train, make him lie dow, and refer to the hospital

Explanation: The first line of response when a person has a seizure is to provide general care and comfort and keep the person safe. The information here relates to all types of seizures. What to do in specific situations or for different seizure types is listed in the following pages. Remember that for the majority of seizures, basic seizure first aid is all that may be needed Try to move him away from the train Trying to stop movements or forcibly holding a person down doesn't stop a seizure. Restraining a person can lead to injuries and make the person more confused, agitated or aggressive. People don't fight on purpose during a seizure. Yet if they are restrained when they are confused, they may respond aggressively. If a person tries to walk around, let them walk in a safe, enclosed area if possible. Ref Harrison20th edition pg 2234